Strawberry tongue is seen in ?
1. Streptococcal scarlet fever
2. Kawasaki disease
3. Both of the above
4. None of the above

Correct answer: 3. Both of the above

Explanation: Ans. is 'c' i.e., Both of the above Strawberry tongue It is also called raspberry tongue It basically refers to glossitis, which manifests with hyperplastic (enlarged) fungiform papillae, giving the appearance of a strawberry. White strawberry tongue is where there is a white coating on the tongue through which the hyperplastic fungiform papillae protrude. Red strawberry tongue is where the white coating is lost and a dark red, erythematous surface is revealed, interspaced with the hyperplastic fungiform papillae. White strawberry tongue is seen in early scarlet fever (a systemic infection of group A hemolytic streptococci). Red strawberry tongue occurs later, after 4-5 days. Other conditions in which strawberry tongue is seen are: Kawasaki disease, toxic shock syndrome, and vitamin B 12 deficiency.